Testicular tumor with best prognosis is
1. Teratoma
2. Seminoma
3. Yolk sac tumor
4. Sertoli cell tumor

Correct answer: 2. Seminoma

Explanation: Seminomas are radiosensitive tumors so prognosis is good.